Which of the following is a P-glycoprotein inhibitor
1. Rifampicin
2. Phenytoin
3. Griseofulvin
4. Ketoconazole

Correct answer: 4. Ketoconazole

Explanation: Drugs like Cyclosporine, Tacrolimus, Quinidine, Diltiazem, Verapamil, Itraconazole, Ketoconazole, Amiodarone inhibit P-glycoprotein and cause drug toxicity.